Avascular necrosis may be seen at all of the following, Except
1. Scapula
2. Head of femur
3. Upper end of humerus
4. Body of Talus

Correct answer: 1. Scapula

Explanation: Common Site of Avascular necrosisCauseHead and femurFracture neck femur (Subcapital)Posterior dislocation of hipProximal pole of scaphoidFracture through waist of scaphoidBody of talusFracture neck of talusProximal pole of lunateLunate dislocationOther sites of common AVN are Distal medial condyle, Humeral head, Capitellum, and Metatarsal headsIn the early stages, bone scintigraphy and MRI are the diagnostic modalities of choice.Non-orthopedic causes of AVN - Sclera, Caisson's disease, Lupus erythematosus, Radiation and Alcohol (Refer: Apley's system of Orthopedics and Fracture, 8th edition,pgno: 91-103, 436-439)